The best surgical management for villous adenoma of the rectum is -
1. Local resection of lesion
2. Repeated sigmoidoscopy
3. Abdomino perineal resection
4. Electrolyte infusion and chemotherapy

Correct answer: 1. Local resection of lesion